Receptor for which of the following is present  intracellularly ?
1. Insulin
2. Corticosteroid
3. Epinephrine
4. Glucagon

Correct answer: 2. Corticosteroid